Which of the following nerve fibres has the highest conduction velocity?
1. Aα
2. Aβ
3. Aγ
4. B

Correct answer: 1. Aα

Explanation: Types of mammalian nerve fibers: